Dorsalis pedis artery is the continuation of:
1. Anterior tibial artery
2. Posterior tibial artery
3. Popliteal artery
4. Lateral tarsal artery

Correct answer: 1. Anterior tibial artery

Explanation: Ans. a (Anterior tibial artery). (Ref. BD Chaurasia 3rd ed. Vol.2.104)The anterior tibial artery commences at the bifurcation of the popliteal, at the lower border of the Popliteus, passes forward between the two heads of the Tibialis posterior, and through the aperture above the upper border of the interosseous membrane, to the deep part of the front of the leg: it here lies close to the medial side of the neck of the fibula. It then descends on the anterior surface of the interosseous membrane, gradually approaching the tibia; at the lower part of the leg it lies on this bone, and then on the front of the ankle-joint, where it is more superficial, and becomes the dorsalis pedis.The branches of the anterior tibial artery are:1. Posterior Tibial Recurrent2. Fibular3. Anterior Tibial Recurrent4. Muscular5. Anterior Medial Malleolar6. Anterior Lateral MalleolarThus, the dorsalis pedis artery (DPA) is the continuation of the anterior tibial, passes forward from the ankle-joint along the tibial side of the dorsum of the foot to the proximal part of the first intermetatarsal space, where it divides into two branches, the first dorsal metatarsal and the deep plantar. DPA frequently curves lateral ward, lying lateral to the line between the middle of the ankle and the back part of the first interosseous space.Branches of DPA:1. Lateral Tarsal, 2. Medial Tarsal, 3. Arcuate and 4. First Dorsal Metatarsal.